Estimation of plasma cholinesterase levels may be helpful in the management of poisoning with:
1. Dhatura
2. Barbiturate
3. Organophosphorus
4. Opium

Correct answer: 3. Organophosphorus

Explanation: Ans. Organophosphorus